Occipital lobe tumours may produce
1. Crossed homonymous quadrantanopia
2. Crossed homonymous hemianopia
3. Both of the above
4. None of the above

Correct answer: 3. Both of the above

Explanation: Ans. Both of the above